Contra indications of portal systemic include?
1. Serum albumin less than 3 mg%
2. Massive ascites
3. Significant juandice
4. All of the above

Correct answer: 4. All of the above

Explanation: Ans. is 'd' i.e., All of the above Shunt operation is used for child's grade 'A' cirrhosis and in the question all options are of grade 'c'